All are true for genetic code except:
1. Degenerate
2. Universal
3. Punctuation
4. Non overlapping

Correct answer: 3. Punctuation

Explanation: Ans. C. PunctuationThe genetic code is considered as Universal, Specific, Non-overlapping and Degenerate.The codon degeneracy is explained by "WOBBLE HYPOTHESIS", which was put forth by CRICK."Wobble hypothesis is a phenomenon in which a single tRNA can recognize more than one codon. Wobbling is attributed to the difference in the spatial arrangement of the 5'-end of anticodon.Wobbling hypothesis explains the degeneracy of genetic code i.e. existence of multiple codons for a single amino acid. Although there are 61 codons for amino acids, the number of tRNAs are around 4D which is due to wobbling.